Which of the following is not a complication of colles fracture?
1. Stiffness of wrist
2. Stiffness of shoulder
3. Carpal tunnel syndrome
4. Wrist drop

Correct answer: 4. Wrist drop

Explanation: Finger stiffness is the most common complication of colles fracture. Wrist, elbow and shoulder are other joints to become stiff. Carpal tunnel syndrome is well known complication of colles fracture. Wrist drop has not been mentioned as complication of colles fracture so is the answer of choice. Ref: Maheshwari 3/e, Page 95-96.